Imidazole ring is present in
1. Tryptophan
2. Arginine
3. Histidine
4. Tyrosine

Correct answer: 3. Histidine

Explanation: Ans. is 'c' i.e.,Histidine Some amino acids contain a special functional group in their side chain which provide some specific functions to that amino acids. These are : Hydroxyl group in serine and threonine - Indole ring in tryptophanAmide group in aspargine and glutamine - (3-Carboxyl in glutamic acidThioether in methionine - Imidazole in histidineSulphydryl in cysteine - Phenol in tyrosiney-carboxyl in glutamic acid - Pyrrolidine in prolineGuanidinium in arginine - c-amino in lysine